A 26 year old male complains of urethral discharge for past 5 days. Which colour kit has to be administered?
1. Yellow
2. Gray
3. Red
4. Blue

Correct answer: 2. Gray

Explanation: Kit 1 (Gray colour) is given for symptoms of urethral /cervical discharge. It includes T.cefixime single dose and T.Azithromycin single dose to cover gonorrhoea and chlamydia.